Best indicator for Acute Malnutrition is
1. Decrease in Weight / Height
2. Decrease in Weight / Age
3. Decrease in Height / Age
4. None of the above

Correct answer: 1. Decrease in Weight / Height

Explanation: Acute Malnutrition ⇒ Decrease in Weight / Height (Wasting)
Chronic Malnutrition ⇒ Decrease in Height / Age (stunting)
Acute on Chronic ⇒ Decrease in Weight / Age Malnutrition.